Which of the following is not a radiological change in mucopolysaccharidosis?
1. J shaped sella turcica
2. Spatulate ribs
3. Anterior beaking of the vertebra
4. Genu varum

Correct answer: 4. Genu varum

Explanation: Ans. Genu varum